All of the following are true regarding progressive multifocal leukoencephalopathy except
1. Only manifestation of JC virus infection
2. Late manifestation of AIDS
3. Cerebellar involvements is unknown
4. none

Correct answer: 3. Cerebellar involvements is unknown

Explanation: . *Progressive multi focal leukoencephalopathy characterised by cytological alternations in both astrocytes and oligodendrocytes . *Oligodendrocytes are enlarged ,densely staining nuclei that contain viral inclusions formed by crystallinearrays of JC virus particles *Almost all patients will have underlying immunocompromissive disorders ,most common associated condition is AIDS(80%), hematological malignancy(13%), transplant recipient(5%) and chronic inflammatory disease(2%). Ref Harrison20th edition pg 2456